Zinc is essential for?
1. Tyrosinase
2. Carbonic anhydrase
3. Hexokinase
4. Oxidoreductase

Correct answer: 2. Carbonic anhydrase

Explanation: Tyrosinase requires copper Carbonic anhydrase requires zinc Hexokinase requires magnesium Oxido reductase requires NAD/ NADP Ref : Biochemistry by U. Satyanarayana 3rd edition Pgno : 419